Hepatic first pass metabolism is important in
1. Drugs given IM
2. Drugs taken orally
3. Drugs given IV
4. None of the above

Correct answer: 2. Drugs taken orally